Factors which is associated both with exsposure and disease is called -
1. Confounding factor
2. Risk factor
3. Proximal risk factor
4. case

Correct answer: 1. Confounding factor

Explanation: Confounding factor is defined as one which is associated both with exposure and disease and is distributed unequally in study and control groups. More specifically a confounding factor is one that although associated with exposure under investigation is itself independently of any such association, such as a risk factor for the disease. (refer pgno 72, park 23 rd edition)